Which of the following is not sexually transmitted-
1. Echinococcus
2. Chlamydia
3. Treponema pallidum
4. Nesseria gonorrhae

Correct answer: 1. Echinococcus

Explanation: Bacterial Diseases transmitted with sexual intercourse Neisseria gonorrhoeae Chlamydia trachomatis Treponema pallidum Haemophilus ducreyi Note the list does not include Haemophilus Vaginalis, the cause of bacterial vaginosis Viruses transmitted by sexual intercourse HIV (types 1 and 2) Human T-cell lymphotropic virus type I(HTLV) HSV type 2 HPV (multiple genotypes) Other infections like Trichomoniasis( Protozoal) , Candida and Phthirus pubis